Apnea in infant is cessation of breathing for:
1. >10 sec
2. >20 sec
3. >30 sec
4. >40 sec

Correct answer: 2. >20 sec

Explanation: b. >20sec(Ref: Nelson's 20/e p 849-850, Ghai 8/e p 171)In infants, apnea is defined as cessation of breathing for >20sec, or any duration if accompanied by cyanosis or bradycardia.